Products of HMP shunt are all except:
1. Glyceraldehyde 3-P
2. Glycerol-3-P
3. 3CO2
4. 6NADPH

Correct answer: 2. Glycerol-3-P

Explanation: Ans. B. Glycerol-3-PHMP is an alternative method of oxidation of glucose. It is Anabolic and occurs in fed state. It is activated by Insulin. Its main features are:a. No ATP formedb. CO2 is producedc. Occurs in the Liver, Adipose tissue, Lactating mammary glands, Adrenal Cortex.d. Has 2 phases-Oxidative and Non-Oxidative.